Protein synthesis occurs in which part of the cell:
1. Smooth endoplasmic reticulum
2. Rough endoplasmic reticulum
3. Golgi body
4. All of the above

Correct answer: 2. Rough endoplasmic reticulum

Explanation: Ans. (b) Rough endoplasmic reticulumRef: Harper's Biochemistry, 30th ed. pg. 576-77* The surface of the rough endoplasmic reticulum is studded with protein-manufacturing ribosomes giving it a "rough" appearance.* The ribosomes bound to ER are not a stable part of this organelle's structure as they are constantly being bound and released from the membrane.* A ribosome only binds to the RER once a specific protein-nucleic acid complex forms in the cytosol. This special complex forms when a free ribosome begins translating the mRNA of a protein destined for the secretory pathway.* Protein once produced from RER will go to golgi apparatus - secretory vesicles - which is further released.